Thomsen Friedenreich phenomenon is -
1. Red cells infection by CMV
2. Red cell agglutination by all blood group sera
3. Hemolysis of transfused blood
4. Due to B antigen

Correct answer: 2. Red cell agglutination by all blood group sera